Rupture of myocardium takes place in what duration after myocardial infarction:
1. First week
2. Second week
3. Third week
4. Fourth week

Correct answer: 1. First week

Explanation: Ans. A: First week The most often used markers are the creatine kinase-MB (CK-MB) fraction and the troponin I (TnI) or troponin T (TnT) levels. On the basis of the ECG, a distinction is made between ST elevation MI (STEMI) or non-ST elevation MI (NSTEMI). Risk Factors Older age Male sex Tobacco smoking Hypercholesterolemia (more accurately hyperlipoproteinemia, especially high low density lipoprotein and low high density lipoprotein) Hyperhomocysteinemia Diabetes (with or without insulin resistance) High blood pressure Obesity (defined by a body mass index of more than 30 kg/ m2) Stress Occupations. Women who use combined oral contraceptive pills. The most serious of these arrhythmias is ventricular fibrillation (V-Fib/VF), an extremely fast and chaotic heart rhythm that is the leading cause of sudden cardiac death. Another life threatening arrhythmia is ventricular tachycardia (V-Tach/VT). Different zones of the heart can become injured: - An occlusion of the left anterior descending coronary artery(LAD) will result in an anterior wall myocardial infarct. - Infarcts of the lateral wall are caused by occlusion of the left circumflex coronary artery(LCx) or its oblique marginal branches (or even large diagonal branches from the LAD.) Both inferior wall and posterior wall infarctions may be caused by occlusion of either the right coronary artery or the left circumflex artery, depending on which feeds the posterior descending artery. Right ventricular wall infarcts are also caused by right coronary artery occlusion. Electrocardiogram The 12 lead ECG is used to classify patients into one of three groups: Those with ST segment elevation or new bundle branch block Those with ST segment depression or T wave inversion Those with a so-called non-diagnostic or normal ECG. Complications - Congestive heart failure Myocardial rupture is most common three to five days after myocardial infarction, commonly of small degree. - Life-threatening arrhythmia-The re-entry phenomenon may cause rapid heart rates (ventricular tachycardia and even ventricular fibrillation), and ischemia in the electrical conduction system of the heart may cause a complete heart block - Pericarditis-In Dressler's syndrome, this occurs several weeks after the initial event. - Cardiogenic shock